Maurer's dots are seen in infection with
1. Plasmodium ovale
2. Plasmodium falciparum
3. Plasmodium malariae
4. Plasmodium vivax

Correct answer: 2. Plasmodium falciparum

Explanation: Plasmodium vivax - Schuffners dotsPlasmodium falciparum- Maurer&;sdotsPlasmodium malariae - Ziemann's dotsPlasmodium ovale - James's dotsIn P. falciparum, RBCs are normal in size with large red dots (Maurer's dots) and sometimes, with basophilic stippling.Panicker 7e pg:80